Gyromagnetic property of Hydrogen nucleus is used in
1. USG
2. PET
3. CT
4. MRI

Correct answer: 4. MRI

Explanation: MRI is based on Gyromagnetic property of H+ ions, Protons. ULTRASOUND is based on Pulse echo principle and Piezoelectric effect. CT SCAN is based on Linear attenuation of X rays.